The tumor suppressor gene ? 53 induces cell cycle arrest at:
1. G2- ? phase
2. S-G2 phase
3. G, - S phase
4. G phase

Correct answer: 3. G, - S phase

Explanation: . G, &; S phase